Which of the following is NOT a feature of Grave's disease:
1. Increased plasma levels of thyroid hormones
2. Increased plasma levels of TSH
3. Exophthalmos
4. Increased heart rate

Correct answer: 2. Increased plasma levels of TSH

Explanation: - Decreased TSH levels is seen in Graves disease, hence option-2 is wrong. - OTHER LAB FINDINGS OF GRAVES DISEASE: Increased T3, T4 Increased saturation of TBG Radioactive iodine uptake is increased diffusely - TRIAD OF ORGANS INVOLVED: THYROID - resulting in hyperthyroidism. EYE - Exophthalmus/ proptosis ; extra-ocular muscle weakness. SKIN - pretibial myxedema ; non-pitting edema. - CLINICAL FEATURES: Weight loss a/w good appetite Heat intolerance Diarrhea, oligomenorrhea, osteoporosis Systolic hypertension, sinus tachycardia Thyroid acropathy - swelling of digits & clubbing Apathetic hyperthyroidism - elderly pt with increased skeletal & CVS manifestations